Enamel fracture without tooth structure loss or incomplete enamel fracture results from
1. Concussion
2. Avulsion
3. Subluxation
4. Enamel infraction

Correct answer: 4. Enamel infraction